Which of the following is used to show the base of the skull, sphenoid sinus, position and orientation of the condyles, and fractures of the zygomatic arch?
1. The TMJ surgery
2. Submentovertex projection
3. Reverse-Towne projection
4. The facial profile survey

Correct answer: 2. Submentovertex projection